A 40 year old male with history of RTA with multiple long bones fracture, develops tachypnoea, periumbilical rashes and has urinary fat globules, the most likely diagnosis is
1. Proximal urethral injury
2. Bladder injury
3. Bacterial pneumonitis
4. Fat embolism syndrome

Correct answer: 4. Fat embolism syndrome